TRUE about Gestational Trophoblastic Disease is?
1. Most common site of metastasis is vagina
2. Presence of Lung metastasis classifies as stage 4 GTN
3. Liver metastasis carries a poor prognosis similar to brain metastasis
4. GTN following a term pregnancy has a better prognosis than that with previous molar pregnancy

Correct answer: 3. Liver metastasis carries a poor prognosis similar to brain metastasis

Explanation: Most common site of metastasis in choriocarcinoma is lung, which is classified as stage 3. Brain and liver metastasis are stage 4 and carry poor prognosis GTN following term pregnancy carries worse prognosis than that following a molar pregnancy or an abortion